A 45-year-old woman with long-standing rheumatoid arthritis complains of dry eyes and dry mouth. Bilateral enlargement of the parotids is noted on physical examination. The syndrome described here is best described as
1. Autoimmune
2. Infectious
3. Metabolic.
4. Metastatic

Correct answer: 1. Autoimmune

Explanation: Sjogren syndrome Chronic autoimmune disorder Characterized by dry eyes (keratoconjunctivitis sicca) & dry mouth (xerostomia) d/t immunologically mediated lymphocytic infiltration & parenchymal destruction of lacrimal & salivary glands.